Phacoemulsification includes
1. Hydrodissection
2. Hydrodeliniation
3. Continuous curvilinear capsulorrhexis
4. All of the above

Correct answer: 4. All of the above

Explanation: PHACOEMULSIFICATION Steps: 1. Corneoscleral incision required is very small (3 mm). Therefore, sutureless surgery is possible with self-sealing scleral tunnel or clear corneal incision made with a 3 mm keratome. 2. Continuous curvilinear capsulorrhexis (CCC) of 4-6 mm. 3. Hydrodissection i.e., separation of capsule from the cortex by injecting fluid exactly between the two is must for phacoemulsification in SICS. This procedure facilitates nucleus rotation and manipulation during phacoemulsification. Some surgeons also perform hydrodelineation 4. Nucleus is emulsified and aspirated by phacoemulsifier. Phacoemulsifier basically acts through a hollow 1-mm titanium needle which vibrates by piezoelectric crystal in its longitudinal axis at an ultrasonic speed of 40000 times a second and thus emulsifies the nucleus. 5. Remaining cortical lens matter is aspirated with the help of an irrigation-aspiration technique. 6. Next steps i.e., IOL implantation, removal of viscoelastic substance and wound closure. Ref:- A K Khurana; pg num:-191,193